TIPSS involves percutaneous creation of a shunt between -
1. Portal vein and vena cava
2. Portal vein and hepatic vein
3. Hepatic vein and vena cava
4. Portal vein and hepatic artery

Correct answer: 2. Portal vein and hepatic vein